Which of the following statements about Diabetic Ketoacidosis is true?
1. Decreased Bicarbonate
2. Increased Lactate
3. Normal anion gap
4. Glucose < 250 mg/dl

Correct answer: 1. Decreased Bicarbonate

Explanation: Typical of DKA: 1. Hyperglycemia >250mg/dl 2. Acidosis with blood pH < 7.3 3. Sodium Bicarbonate < 15 mEq/L 4. Serum positive for ketones Ref: CMDT 2008 Edition, Page 1062.